Which is the integrase inhibitor used in treatment of HIV?
1. Raltegravir
2. Indinavir
3. Lopinavir
4. Fosamprenavir

Correct answer: 1. Raltegravir

Explanation: Raltegravir (RAL, Isentress, formerly MK-0518) is an antiretroviral drug used to treat HIV infection, the integrase inhibitor.Raltegravir targets integrase, an HIV enzyme that integrates the viral genetic material into human chromosomes, a critical step in the pathogenesis of HIV. The drug is metabolized away glucuronidation. REFERANCE:en.wikipedia.org